Which of the following is not a branch of ophthalmic nerve?
1. Frontal nerve
2. Lacrimal nerve
3. Nasociliary nerve
4. Middle ethmoidal nerve

Correct answer: 4. Middle ethmoidal nerve